Thiopentone is not used in
1. Induction of anesthesia
2. Medically induced coma
3. As truth serum
4. As antidepressant

Correct answer: 4. As antidepressant

Explanation: Antidepressants treat major depressive disorder and other conditions. These are the most commonly prescribed type of antidepressant.They are effective in treating depression, and they have fewer side effects than the other antidepressants. SSRIs block the reuptake, or absorption, of serotonin in the brain